True regarding comparison values of cow and human milk are all except:
1. Human milk has comparatively less of protein
2. Human milk has comparatively less of calcium
3. Human milk has comparatively less of minerals
4. Human milk has comparatively less of lactose

Correct answer: 4. Human milk has comparatively less of lactose

Explanation: Ans: D i.e. Human milk has comparatively less of lactose Comparison of human and cow link Protein in human milk is 1.1 g, whereas in cow milk it is 3.2 Calcium in human milk is 28 mg, whereas in cow milk it is 120 mg Minerals in human milk is 0.1 g, whereas in cow milk it is 0.8 g Lactose in human milk is 7.4 g, whereas in cow milk it is 4.4 g